Congenital toxoplasmosis not true:
1. IgA is more sensitive than IgM
2. An increase in IgM beyond 1st week of life is diagnostic
3. IgG is diagnostic
4. Dye test is used

Correct answer: 3. IgG is diagnostic

Explanation: Ans. (c) IgG is diagnostic